Stain used to detect degenerated fungi in tissues
1. PAS
2. Lactophenol Cotton blue
3. Calcoflour white
4. Alcian blue

Correct answer: 1. PAS

Explanation: PAS (Periodic acid schiff) & GMS (Gomori methanamine silver) is used to detect degenerated fungi in tissues.